Pacemaker regulating the rate of respiration
1. Pneumotaxic centre
2. Dorpal group of nucleus
3. Apneustic centre
4. Pre-Botzinger complex

Correct answer: 4. Pre-Botzinger complex

Explanation: The pre-Botzinger complex (preBotC) is a cluster of interneurons in the ventral respiratory group of the medulla of the brainstem. This complex has been proven to be essential for the generation of the respiratory rhythm in mammals Ref: guyton and hall textbook of medical physiology 12 edition page number:370,371,372